Eruption of Mandibular 1st premolar occur at
1. 8-9 years
2. 6 years
3. 4 years
4. 10-12 year

Correct answer: 4. 10-12 year